Liquefactive necrosis is seen in
1. Heart
2. Brain
3. Liver
4. Spleen

Correct answer: 2. Brain

Explanation: Liquefactive necrosis is seen in focal bacterial or, occasionally, fungal infections because microbes stimulate the accumulation of inflammatory cells and the enzymes of leukocytes digest ("liquefy") the tissue. For obscure reasons, the hypoxic death of cells within the central nervous system often evokes liquefactive necrosis.Tthe dead cells are completely digested, transforming the tissue into a liquid viscous mass.Eventually, the digested tissue is removed by phagocytes.( Robbins Basic Pathology, 9th edition, page 10 )